When point of suspension is placed centrally over the occiput the hanging is called
1. Typical hanging
2. Atypical hanging
3. Partial hanging
4. Complete hanging

Correct answer: 1. Typical hanging

Explanation: On the basis of position of knot The term typical hanging is applied when the point of suspension is placed centrally over the occupation.ie, the knot is at the nape of the neck on the back. If the point of suspension is any other position, the term atypical hanging is often applied. Ref: TEXTBOOK OF FORENSIC MEDICINE AND TOXICOLOGY KRISHNAN VIJ FIFTH EDITION PAGE 120